The following statement are true about Intrauterine devices (IUCD) except
1. Multiload Cu-375 is a third generation IUD
2. The pregnancy rate of lippes loop and Cu-T 200 are similar
3. IUCD can be used for Emergency Contraception within 5 days
4. Levonorgestrel releasing IUD has an effective life of 5 years

Correct answer: 1. Multiload Cu-375 is a third generation IUD

Explanation: Multiload 375 IUDs donot belong to 3rd generation IUDs. They are 2nd generation IUDs. THIRD GENERATION IUDs A third generation of IUDs *based on still another principle, i.e., release of a hormone have become available on a limited scale. The most widely used hormonal device is progestasert, which is a T -shaped device filled with 38 mg of progesterone, the natural hormone. The hormone is released slowly in the uterus at the rate of 65 mcg daily. It has a direct local effect on the uterine lining, on the cerl mucus and possibly on the sperms. Because the hormone supply is gradually depleted, regular replacement of the device is necessary. Another hormonal device LNG-20 (Mirena) is a T-shaped IUD releasing 20 mcg of levonorgestrel (a potent synthetic steroid); it has a low pregnancy rate (0.2 per 100 women) and less number of ectopic pregnancies. Long-term clinical experience with levonorgestrel releasing IUD has shown to be associated with lower menstrual blood loss and fewer days of bleeding than the copper devices. The levonorgestrel releasing IUD has an effective life of 10 years . The hormonal devices would be particularly valuable for women in developing countries in whom excess blood loss caused by inert devices have been shown to result in significant anaemia. But these devices are more expensive, to be introduced on a wide scale. Ref: Park 25th edition Pgno : 547